All are true about femoral triangle, EXCEPT?
1. Lateral margin is formed by sartorius
2. Floor is formed by adductor longus
3. Contains the femoral vessels
4. None of the above

Correct answer: 4. None of the above

Explanation: All are true about the femoral triangle The femoral triangle is a depressed area of the thigh lying distal to the inguinal fold. Its apex is distal, its limits are the medial margin of sartorius laterally, the medial margin of adductor longus medially and the inguinal ligament proximally (the base). Its floor is provided laterally by iliacus and psoas major, medially by pectineus and adductor longus. The femoral vessels, passing from mid base to apex, are in the deepest part of the triangle. Lateral to the artery the femoral nerve divides. The triangle also contains fat and lymph nodes. Ref: Gray's anatomy text book of anatomy BD chaurasia 21st Ed.